Palladium is added to polyvinyl siloxane to
1. Act as a scavenger
2. Helps as surfactant
3. Acts as plasticizer
4. Acts as a catalyst

Correct answer: 1. Act as a scavenger